Which of the following is a treatment option for Volkmann's ischemia?
1. Fasciotomy
2. Cock up splint
3. Bone shortening
4. Turn buckle splint

Correct answer: 1. Fasciotomy

Explanation: Ans. A. FasciotomyVolkmann's ischemia is synonymous with Compartment syndrome. If the same is missed, there occurs necrosis followed by fibrosis of forearm flexors leading to a flexion contracture in hand also called as Volkmann's ischemic contracture.